A 43 year old male presented with a mass in the submandibular region. After USG and Biopsy he was diagnosed of having acinic cell carcinoma. After staging excision was attempted. Following the surgery he found that his tongue deviated to the affected side. Which of the follow ing nerves could be damaged -
1. Lingual nerve
2. Auriculotemporal nerve
3. Hypoglossal nerve
4. Facial Nerve

Correct answer: 3. Hypoglossal nerve

Explanation: Ans. is 'c' i.e., Hypoglossal nerve o Following structures could be damged durimg submandibular gland surgeryImportant anatomical relationships of the submandibular glandso Lingual nerve o Hypoglossal nerveo Anterior facial veino Facial arteryo Marginal mandibular branch of the facial nerveo Injury to hypoglossal (12th) nerve paralyzes ipsilateral half of the tongue. When tongue is protruded, its tip deviates towards the paralyzed side because of unopposed action of genioglossus muscle on the normal side of tongue.